When the rectum is inflated with air through a rectal tube, pain and tenderness occur in the right iliac fossa in case of appenidicitis. This is known as?
1. Aaron's sign
2. Battle's sign
3. Bastedo's sign
4. Mc Burney's sign

Correct answer: 3. Bastedo's sign

Explanation: Ans. is 'c' i.e., Bastedo's sign